Area 4 of the cortex corresponds to?
1. Primary motor area
2. Primary sensory area
3. Visual cortex
4. None of the above

Correct answer: 1. Primary motor area

Explanation: The primary motor cortex (MI) corresponds to the precentral gyrus (area 4). It is the area of cortex with the lowest threshold for eliciting contralateral muscle contraction by electrical stimulation. Ref: Gray's anatomy 40th edition, Chapter 21.